The following are true about fibronectin nephropathy,except:
1. Autosomal recessive inheritance
2. Gomerular enlargement and PAS+ trichrome messangial deposit
3. Glomerulus do not consistently stain for Ig and complement
4. Ultrastructural feature is presence of large electron essangial or subendothelial deposit

Correct answer: 1. Autosomal recessive inheritance

Explanation: . Autosomal recessive inheritance